Which is the most commonly involved muscle in cases of abdominal wall hematoma?
1. Rectus abdominis
2. External oblique
3. Internal abdominis
4. Transverses abdominis

Correct answer: 1. Rectus abdominis

Explanation: Ans AMost commonly involved muscles - incases of traumatic hematomas - in descending order of frequency are:# Rectus abdominus (Most common).# Iliopsoas.# Thighs# Gluteal.